Salmonellosis is the most common in which of the following hematologic disorder:
1. Sickle cell anaemia
2. Thalassemia
3. Haemophilia
4. Macrocytic Anaemia

Correct answer: 1. Sickle cell anaemia

Explanation: Ans. A. Sickle cell diseaseSickle cell anemia is an autosomal recessive disease that results from substitution of valine from glutamic acid at position 6 of the beta- globin chain. Patients who are homozygous for the HbS gene have sickle cell disease. Patients who are heterozygous for the HbS gene have sickle cell trait. The gene frequency in India is 4.3% and is common in Odisha, Maharashtra, Madhya Pradesh and Jharkhand. The most common clinical manifestation of is vaso-occlusive crisis; pain crises are the most distinguishing clinical feature. Other manifestations include bone pain, anemia, aplastic crisis, splenic sequestration and infections. Organisms that pose the greatest danger include Salmonella, encapsulated respiratory bacteria, particularly Streptococcus pneumonia; Haemophilus influenzae adult infections are predominately with gram- negative organisms, especially E. coli and Mycoplasma pneumoniae.